Which of the following is LEAST likely to increase the risk for ectopic pregnancy?
1. Prior pelvic infection
2. Prior ectopic pregnancy
3. Prior hydatidiform mole
4. Current assisted reproductive technology use

Correct answer: 3. Prior hydatidiform mole

Explanation: Risk Factors for Ectopic pregnancy - Prior tubal damage, either from a previous ectopic pregnancy or from tubal surgery to relieve infertility or for sterilization, confers the highest risk for ectopic pregnancy. After one previous ectopic pregnancy, the chance of another is approximately 10 percent. Pregnancy after Infertility treatment "Atypical" implantations--cornual, abdominal, cervical, ovarian, and heterotopic pregnancy--are more common following ART procedures. Peritubal adhesions subsequent to salpingitis, postabortal or puerperal infection, appendicitis, or endometriosis may increase the risk for tubal pregnancy.